Which is not a feature of posterior urethral valve:
1. Palpable bladder
2. Painful stress incontinence
3. Recurrent UTI
4. Hydronephrosis

Correct answer: 2. Painful stress incontinence

Explanation: b. Painful stress incontinence(Ref: Nelson's 20/e p 2562-2567, 2573, Ghai 8/e p 485-486)High Yield Points:Posterior urethral valves are the commonest cause of lower urinary tract obstruction in boys.In PUV, Prostatic urethra dilates, & bladder muscle undergoes hypertrophy; Hydronephrosis or renal dysplasia may also develop;Vesicoureteral reflux occurs in 50% and 30% of patients experience end stage renal disease or chronic renal insufficiency.